A mother brings her 13  year old daughter to the OPD with a swelling in the left side of her lower jaw. Intraoral examination reveals a bony expansion in the premolar and first molar region. PA view radiograph was taken, which showed periosteal bone growth at the inferior border of the mandible. Also paresthesia of lower  lip is present. What is the most probable diagnosis for this patient?
1. Ewing’s sarcoma
2. Idiopathic histiocytoma
3. Fibrous dysplasia
4. Proliferative periostitis

Correct answer: 1. Ewing’s sarcoma